Which is not seen in Allgrove syndrome -
1. ACTH excess leading to Cushing syndrome
2. Achalasia
3. Alacrimia
4. Hvperpigmetation

Correct answer: 1. ACTH excess leading to Cushing syndrome

Explanation: Ans. is 'a' i.e., ACTH excess leading to Cushing syndrome Allgrove's syndrome characterized byo ACTH resistant adrenal (glucocorticoid) deficiency 80%.o Achalasia of the cardia (85%).o Alacrimia (90%.).o Autosomal recessive disorder,o Caused due to mutation in AAAs geneo Neurological features appear at later age and autonomic manifestations are the most common neurological disorder. Polyneuropathies, Amyotrophy and optic atrophy are other disorders.o Alacrimia is the earliest and most consistent symptom and the achalasia and adrenal insufficiency develop over the first two decades.